Net ATPs produced by substrate level phosphorylation when one molecule of fructose is converted to two molecules of pyruvate?
1. 2
2. 3
3. 4
4. 5

Correct answer: 1. 2

Explanation: ATP yield of fructose is same as that of glucose. One may argue that fructose enters glycolysis bypassing the energy investment step (fructose-1-phosphate to fructose 1,6 bisphosphate) and thus 1 ATP should be obtained extra. but one extra ATP is used for conversion of glyceraldehyde to GAP. So ATP consumption (total 2 per fructose) is same as glycolysis of glucose. Look at the ATP used in the image when fructose enter glycolysis. Hence Net ATP yield is also 4 ATP produced- 2 ATP used = 2 ATPs